Erythropoiesis in early fetal life occurs in
1. Yolk sac
2. Vertebrae
3. Bone marrow
4. Spleen

Correct answer: 1. Yolk sac